All are true about primary aldosteronism except:
1. One of the most common cause of secondary hypertension
2. Hyperkalemia
3. Sodium retention
4. Ratio of plasma aldosterone to plasma renin activity (PA/ PRA) is a useful screening test

Correct answer: 2. Hyperkalemia

Explanation: Answer- B. HyperkalemiaPrimary hyperaldosteronism is one of the most common cause of secondary hypertension.Excessive levels of aldosterone cause sodium retention and potassium excretion, with resultant hypertension and hypokalemia.Hypokalemia can cause weakness, parethesias, visual disturbances and tetany.The diagnosis of primary hyperaldosteronism is confirmed by the elvated level of aldostetone and depressed levels of renin in the circulation (low PRA).The ratio of plasma aldosterone to plasma renin activity (PA/PRA) is a useful screening test.